In facial palsy, food accumulated in the mouth due to paralysis of
1. Masseter
2. Temporalis
3. Mentalis
4. Buccinator

Correct answer: 4. Buccinator

Explanation: (D) Buccinator > The facial nerve contributes to the oropharyngeal phase of deglutition via the buccinator, perioral, digastricus posterior, and stylohyoid muscles. The gustatory and salivatory functions of the facial nerve are also known to contribute to swallowing.> The relation between peripheral facial nerve palsy (PFP) and swallowing dysfunction has never been studied systematically